Maximum safe dose of lignocaine with adrenaline is:
1. 3 mg/kg wt.
2. 7 mg/kg wt
3. 10 mg/kg wt.
4. 15 mg/kg wt

Correct answer: 2. 7 mg/kg wt

Explanation: 7 mg/kg wt